All of the following statements about Neurofibromatosis are true, except?
1. Cataract
2. Scoliosis
3. Cutaneous neurofibromas
4. Autosomal Recessive Inheritance

Correct answer: 4. Autosomal Recessive Inheritance

Explanation: Neurofibromatoses are a group of clinically and genetically different autosomal dominant hereditary diseases that predispose to benign and malignant tumors of the nervous system. It is of two types NF 1 and NF2. Cutaneous neurofibromas occur in NF1, and NF 2 is associated with posterior subcapsular cataract. Ref: Harrison's Internal Medicine, 18th Edition, Chapter 379; Color Atlas of Genetics By Eberhard Passarge, 3rd Edition, Page 338